In rigor mortis muscle :
1. Stiffens
2. Shortens
3. Stiffens and shortens
4. Stiffens and lengthens

Correct answer: 3. Stiffens and shortens

Explanation: C i.e. Stiffens & shorten In rigor mortis, muscle shorten (contracted) & stiffensQ, and the reaction changes from alkaline to distinctly acidic d/t local formation of lactic acid.